Allograft is between -
1. Graft from genetically identical person
2. Individuals of same species with different genetic identity
3. Graft from self
4. Members of different species

Correct answer: 2. Individuals of same species with different genetic identity

Explanation: Ans. is 'b' i.e., Individuals of same species with different genetic identity Based on donor, graft may be:-a) A utograft (autogenic graft): Graft from self.b) Isograft (syngraft) : Graft from genetically identical person, e.g. identical twin.c) Allograft (homograft or allogenic graft): Graft from genetically unrelated member of same species.d) Xenograft (heterograft): Graft from different species.Also remembero Orthoptic graft - Graft applied in anatomically normal site eg. Skin graft.o Heterotopic graft - Graft applied in anatomically abnormal site.